Age at which one becomes major:
1. 18 years
2. 21 years
3. 25 years
4. 35 years

Correct answer: 1. 18 years

Explanation: Ans. 18 years